Which of the following is not a type of suffocation-
1. Choking
2. Gagging
3. Smothering
4. Throttling

Correct answer: 4. Throttling

Explanation: Throttling is a form of manual strangulation, not a form of suffocation. Suffocation deaths: SmotheringQ Occlusion ofexternal air passagesQby hand, pillow, plastic bag etc ChokingQ Occlusion ofinternal air passagesQby foreign body, food particles etc Overlaying Compression of chestQ, when mother shares bed with baby GaggingQ Occlusion of internal air passages at pharyngeal level by a gagQ BurkingQ Smothering and traumatic asphyxia